Tillaux fracture is
1. Upper tibial fracture
2. Lower tibial fracture
3. Talus fracture
4. Bimalleolar fracture

Correct answer: 2. Lower tibial fracture